Which of following is not a feature of renovascular hypertension on intravenous urography -
1. Delayed 'wash - out' of contrast
2. Filling defect in calyces
3. Ureteral kinking
4. Normal or small sized kidney

Correct answer: 2. Filling defect in calyces

Explanation: IVU findings of renovascular hypertension are -


Delayed or absent nephrogram
Normal or atrophic kidney without calyceal deformity or abnormality
Ureteral kinking (in retroperitoneal fibrosis)
Rim nephrogram